Antidote for paracetamol poisoning is
1. N- acetylcysteine
2. Sodium bicarbonate
3. BAL
4. EDTA

Correct answer: 1. N- acetylcysteine

Explanation: Paracetamol - has only antipyretic and analgesic activity. It does not possess anti-inflammatory activity as it is believed to be inactivated by the free oxygen radicals generated at site of inflammation. Metabolite of PCM | Acts on TRPV receptor (Vanilloid Receptor) Analgesic action of it may be mediated by this receptor PCM has antidote i.e. N-Acetylcysteine